Most stable position of ankle is
1. In plantar flexion
2. In dorsiflexion
3. In inversion
4. In eversion

Correct answer: 2. In dorsiflexion

Explanation: DORSIFLEXION FOOT:- The forefoot is raised, and the angle between the front of the leg and the dorsum of the foot is diminished.The wider anterior trochlear surface of the talus fits into the lower end of narrow posterior part of the lower end of tibia.No chance of dislocation in dorsiflexion. PLANTAR FLEXION OF FOOT:-Forefoot is depressed and the angle between leg and foot is increased.The narrow posterior part of trochlear surface of talus loosely fits into the wider anterior part of lower end of tibia.High heels causes plantar flexion of ankle joint and its dislocation. Eversion: movement in which the lateral border of the foot is elevated so that the sole faces laterally. Inversion: movement in which the medial border of the foot is elevated so that the sole faces medially. In eversion and inversion, the entire part of the foot below the talus moves together. Inversion is accompanied by plantar flexion of the foot and adduction of the forefoot.Eversion is accompanied by the dorsiflexion of the foot and adduction of the forefoot. JOINTS TAKING PART:-Subtalar Talocalcaneonavicular Transverse talar AXIS:-These movements takes place around an oblique axis which runs forwards, upwards and medially, passing from the back of the calcaneum, through sinus tarsi,to emerge at the superomedial aspect of the neck of the talus.The obliquity of the axis party accounts for the adduction, abduction, plantar flexion and dorsiflexion which are associated with these movements. RANGE:-Inversion is more free than eversion The range of movements is increased in plantar flexion. Ref - BDC 6e vol 2 pg 150